Which chamber's anterior wall forms most of the sternocostal surface of the heart?
1. Left atrium
2. Left ventricle
3. Right atrium
4. Right ventricle

Correct answer: 4. Right ventricle

Explanation: The heart has three important surfaces: an anterior surface, a diaphragmatic surface, and a pulmonary surface. The anterior surface, or sternocostal surface, is mostly made up of the right ventricle. The diaphragmatic surface is mostly the left ventricle, but a little bit of the right ventricle sits on the diaphragm as well. Finally, the pulmonary surface, which is on the left, is mostly made up of the left ventricle.